A development disturbance in the enamel of mandibular first molar crown usually occurs between which of the following ages
1. 8 months prenatal to one year postnatal
2. Birth to 3 years postnatal
3. 3 years postnatal to 5 years postnatal
4. 6 years postnatal to 8 years postnatal

Correct answer: 2. Birth to 3 years postnatal